All true regarding Retrobulbar block except?
1. Can be given in patients with bleeding disorders
2. Risk of Perforation of the globe
3. Injected behind the eye into the cone formed by the extraocular muscles
4. M/C complication is Retrobulbar hemorrhage

Correct answer: 1. Can be given in patients with bleeding disorders

Explanation: In this technique, local anesthetic is injected behind the eye into the cone formed by the extraocular muscles and a facial nerveblock is utilized to prevent blinking A successful retrobulbar block is accompanied by anesthesia, akinesia, and abolishment of the oculocephalic reflex. Complications Retrobulbar hemorrhage(m/c) Perforation of the globe, Optic nerve atrophy, Intravascular injection with resultant convulsions, Oculocardiac reflex, Trigeminal nerve block, Respiratory arrest, Acute neurogenic pulmonary edema. Retrobulbar injection not performed in patients with bleeding disorders because of the Risk of retrobulbar hemorrhage Extreme myopia because the elongated globe increases the risk of perforation Retrobulbar block